Scleral Expansion Bands are used in the management of
1. Myopia
2. Astigmatism
3. Presbyopia
4. Keratoconus

Correct answer: 3. Presbyopia

Explanation: Schachar introduced scleral expansion bands for surgical reversal of presbyopia. Originally, the implant was designed as a continuous ring that was placed into the sclera. The modified and improved design of this prototype consists of four polymethylmethacrylate (PMMA) bands that are placed in four scleral tunnels at depths of 350 to 400 mm in order to create more space between the lens and the sclera. This follows the theory of accommodation described by Schachar.